True statements are all except:
1. Chromosome six has the genes for MHC
2. Genes encoding complement proteins are located adjacent to class I
3. Monocytes have MHC II antigens on their surface
4. Class III does not encode complement

Correct answer: 4. Class III does not encode complement

Explanation: 1.) The gene encoding for MHC molecules are clustered on small segment of chromosome 6. 2.) MHC II molecules are present on all the APC's (Antigen Presenting Cells), and Monocyte are type of Antigen Presenting cell. 3.) Class III is present adjacent to Class I and Class II. 4.) Class III encodes for complement protein.